Which of following is a composite index?
1. DMFT
2. OHI
3. Russel's index
4. OHI-S

Correct answer: 3. Russel's index